Which of the following feature(s) is/are suggestive of nehogrnic DI in comparison to central DI :
1. Desmopressin nasal spray restore urine output to normal level
2. Basal vasopressin level > 1 pg/ml
3. Normal posterior pituitary bright spot is not visible on MRI scan
4. Change in water loss during fluid deprivation test

Correct answer: 2. Basal vasopressin level > 1 pg/ml

Explanation: Ans: b. Basal vasopressin level > 1 pg/mlFailure to Produce ADH: "Central" Diabetes Insipidus.The treatment for central diabetes insipidus is administration of a synthetic analog of ADH, desmopressin, which acts selectively on V2 receptors to increase water permeability in the late distal and collecting tubules.Desmopressin can be given by injection, as a nasal spray, or orally, and it rapidly restores urine output toward normal.The polyuria anil polydipsia of nephrogenic DI are not affected by treatment *ith standard doses of DDAVP.